The brick red colour of postmortem lividity is deen in poisoning due to
1. Carbonmonoxide
2. Hydrogen sulfide
3. Phosphorous
4. Cyanide

Correct answer: 4. Cyanide